Mechanism of action of Tolcapone is -
1. Dopa decarboxylase inhibitor
2. COMT inhibitor
3. MAO - A inhibitor
4. MAO - B inhibitor

Correct answer: 2. COMT inhibitor

Explanation: Ans. is 'b' i.e., COMT inhibitor Note: Clorgyline is a MAO A inhibitor not MAO BDrugs for parkinsonism|||Increasing brain dopaminergic activityDecreasing brain cholinergic activity* Dopamine precursor - Levodopa* Periphera decarboxylase inhibitors - Carbidopa, Benserazide* Dopaminergic agonists - Bromocriptine, Ropinirole, Pramipexal, Rotigotine* MAO-B inhibitor - Selegiline* COMT inhibitor - Entacapone, Tolcapone* Dopamine facilitator - Amantidine* Central anticholinergic - Trihexyphenidyl (Benzhexol), Procyclidine, Biperiden.* Antihistaminic - Orphenadrine, promethazine. MAO inhibitors1. Nonselective - Tranylcypromine, phenelzine, isocarboxazid.2. Selective MAO-A - Moclobemide, clorgyline (used in depression)3. Selective MAO-B - Selegiline (used in parkinsonism).